Chandu a 15 year aged boy presents with unilateral nasal blockade, mass in the cheek and epistaxis; likely diagnosis is -
1. Nasopharyngeal ca
2. Angiofibroma
3. Inverted papilloma
4. None of the above

Correct answer: 2. Angiofibroma

Explanation: Recurrent epistasis, nasal obstruction and swelling over cheek in a 15 years boy suggest the diagnosis of NFA.